A patient has the pink papules and plaques over genital. What serotype of human papilloma virus (HPV) is the most likely cause?
1. HPV 1
2. HPV 2
3. HPV 5
4. HPV 6

Correct answer: 4. HPV 6

Explanation: C/o of Anogenital was- cause by HPV 6 HPV type Associated clinical conditions 1 (m/c) Deep plantar and palmar was 2 (m/c) Superficial plantar was 3 Plane was 4 Common was, plantar was 5 Epidermo dysplasia verruciformis 6 (m/c) Laryngeal was, Anogenital was 7 (m/c) Butcher wart Mnemonic: DSP- CELB